Ductus arteriosus closes in response to –
1. Decrease in peripheral oxygen saturation
2. Indomethacin therapy
3. Prostaglandin E1
4. Increase in pulmonary vascular resistance

Correct answer: 2. Indomethacin therapy